In second trimester of pregnancy, the diagnosis of IUGR can be best made by assessing which of the following parameter?
1. HC
2. AC
3. BPD
4. FL

Correct answer: 2. AC

Explanation: Ans. AC